Orally active hormone is:
1. TSH
2. Thyroxine
3. GH
4. Prolactin

Correct answer: 2. Thyroxine